"Onion skin thickening" of arteriolar wall is seen in:
1. Atherosclerosis
2. Median calcific sclerosis
3. Hyaline arteriosclerosis
4. Hyperplastic arteriosclerosis

Correct answer: 4. Hyperplastic arteriosclerosis

Explanation: Hyperplastic arteriosclerosis